According to WHO International Health organizations. What is the distance surrounding an Airport or Seaport which should be free of mosquitoes?
1. 100 meter
2. 200 meter
3. 300 meter
4. 400 meter

Correct answer: 4. 400 meter

Explanation: Under the WHO International Health Regulations, all international airports and seaports are kept free from all types of mosquitoes for a distance of 400 m around the perimeter of the ports. Park's textbook of preventive and social medicine 23rd edition.